30 yr old mom presents with cramping gluteal pain after walking 500Mt which is the vessel involved ?
1. Arterial disease with aorta iliac involvement
2. Varicose vein
3. Arterial disease with femoral artery involvement
4. Femoral venous insufficiency

Correct answer: 1. Arterial disease with aorta iliac involvement

Explanation: Arterial do with aoo iliac involvement, LERCHE's SYNDROME patient presents with gluteal claudication and impotence ref : bailey and love 27th ed